Which of the following statements is not true about rifabutin as compared to rifampicin?
1. It has longer half-life than rifampicin
2. It is more effective for newly diagnosed TB as compared to rifampicin
3. It has lesser incidence of drug interactions as compared to rifampicin
4. It is more effective against MAC as compared to rifampicin

Correct answer: 2. It is more effective for newly diagnosed TB as compared to rifampicin

Explanation: Ans. (B) It is more effective for newly diagnosed TB as compared to rifampicin(Katzung 13th/817,820) RifampicinRifabutinHalf lifeShorterLongerCYP inhibition (drug interactions)MarkedWeakEfficacy against Mycobacterium tuberculosisMoreLessEfficacy against MACLessMoreHepatotoxic potentialPresentAbsent